TYNDALLISATION is a type of
1. intermittent sterilization
2. pasteurisation
3. boiling
4. autoclaving

Correct answer: 1. intermittent sterilization